A 5-year-old boy while having dinner suddenly becomes aphonic and is brought to the casualty with a complaint of respiratory distress. What should be the appropriate management?
1. Cricothyroidotomy
2. Emergency tracheotomy
3. Humidified oxygen
4. Heimlich maneuver

Correct answer: 4. Heimlich maneuver